Most common type of psoriasis -
1. plaque psoriasis
2. Sebo Psoriasis
3. Flexural psoriasis
4. Penile psoriasis

Correct answer: 1. plaque psoriasis

Explanation: most common type of psoriasis is chronic plaque psoriasis seen in 90% of patients. most common type of psoriasis in children guttate psoriasis most severe type of psoriasis- generalised pustular psoriasis Von Zumbusch type IADVL textbook of dermatology page 1032